Criteria for severity in acute pancreatitis includes all except?
1. 3 fold increase in serum lipase
2. Serum creatinine > 2.0mg%
3. PaO2< 60mmHg
4. SBP<90

Correct answer: 1. 3 fold increase in serum lipase

Explanation: 3 fold increase in serum lipase is a diagnostic criteria and not used for severity of acute pancreatitis The criteria for severity in acute pancreatitis was defined as organ failure of at least one organ system Systolic blood pressure <90 mm Hg PaO2 < 60 mm Hg Creatinine >2.0 mg/dL after rehydration Gastrointestinal bleeding > 500 mL/24 hours Local complication such as necrosis, pseudocyst, and abscess The diagnosis of acute pancreatitis requires two of the following: Typical abdominal pain 3 fold or greater, elevation in serum amylase and/or lipase level Confirmatory findings on cross-sectional abdominal imaging. Management of Acute pancreatitis: IV fluid resuscitation & IV analgesia with opiates are main components of the first line of management in acute pancreatitis.